Defenitive test to diagnose pulmonary embolism
1. V/Q Scan
2. Chest X-ray
3. CT pulmo angrography
4. MRI

Correct answer: 3. CT pulmo angrography

Explanation: CTPA is defenitive test or gold standard test.